Small vessel vasculitis is:
1. Takayasu' arteritis
2. Poly arteritis nodosa
3. Kawasaki disease
4. Wegner's granulomotosis

Correct answer: 4. Wegner's granulomotosis

Explanation: (Wegner's granulomatosis) (2002-H 16th) (743-CMDT-2009)PRIMARY VASCULITIDES(A) Predominantly large - vessel vasculatides* Takayasu' arteritis* Giant cell arteritis (Temporal arteritis)* Behcet's disease(B) Predominantly medium-vessel vasculitide* Polyarteritis nodosa* Buerger's disease(C) Predominintly small cell vasculitidesImmune complex mediated"ANCA-associated" disorders* Cutaneous leukocytoclastic angitis (Hypersensitivity vasculitis)* Henoch-Schonlein purpura* Essential cryoglobulinemia* Wegener's granulomatosis* Microscopic polyangiitis* Churg strauss syndrome